Which of the following is most common and most slowly growing thyroid cancer?
1. Papillary carcinoma
2. Follicular carcinoma
3. Anaplastic carcinoma
4. Medullary carcinoma

Correct answer: 1. Papillary carcinoma